Haptane is :
1. Same as epitope
2. Small molecular weight protein
3. Requires carrier for specific antibody production
4. Simple haptens are precipitate

Correct answer: 3. Requires carrier for specific antibody production

Explanation: Answer is C (Requires carrier for specific antibody production): Hepatitis become immunogenic only when attached to a large molecule or 'carrier' -